Manifestation of uretero vaginal fistula is :
1. Overflow incontinence
2. Hydronephrosis
3. Continuous incontinence
4. Stress incontinence

Correct answer: 3. Continuous incontinence

Explanation: Continuous incontinence